Which one of the opioid has maximum plasma protein binding capacity:
1. Morphine
2. Sufentanil
3. Fentanyl
4. Pethidine

Correct answer: 2. Sufentanil

Explanation: Protein binding capacity of opioids: Morphine: 30-40%., Pethidine: 70%, Fentanyl: 84%. Alfentanil: 92%., Sufentanil: 93%.